Aspirin in very low doses inhibits the formation of:
1. Cyclooxygenase
2. Thromboxane A2
3. Prostaglandin 12
4. None of the above

Correct answer: 2. Thromboxane A2

Explanation: Ans. B: Thromboxane A2